CHC acts as a referral center for
1. 2 PHCs
2. 4 PHCs
3. 6 PHCs
4. 8 PHCs

Correct answer: 2. 4 PHCs

Explanation: Community Health Centre (CHC)

Secondary level of health care.
Located for population of 1,20,000 in plains.
Located for population of 80,000 in hilly areas.
Staff at CHC : 46-52
Acts as referral unit for 4 PHCS.
Bed strength : 30